Perforins are produced bya) Cytotoxic T cellsb) Suppressor T cellsc) Memory helper T cellsd) Plasma cellse) NK cells
1. a
2. b
3. ae
4. ad

Correct answer: 3. ae

Explanation: Perforins 

Perforins are hole forming proteins, cause transmembrane pores through which cytotoxic factors enter the cell and destroy it by apoptosis.
Perforins are produced by:


Cytotoxic T cells   → Robbin's 218
N.K. Cells → Ananthanarayan 126